Which of the following is/ are the side effect/ s of using argon laser-
1. Hypopigmentation
2. Crusting
3. Keloid formation
4. All the above

Correct answer: 4. All the above

Explanation: Ans. is 'd' i.e., AH the above Argon Lasero Wavelength 488 - 514 nmo Penetration depth of 1 mm, which can be increased by coolingo Side effects: crusting and possible blistering of skin, irreversible hypopigmentation, transient hyperpigmentation, punctate atrophic or hypertrophic scats, keloid formation.